All of the following arc features of Thrombotic Thrombocytopenic purpura, Except
1. Fever
2. Hemolysis
3. Hypertension
4. Low platelet count

Correct answer: 3. Hypertension

Explanation: Answer is C (Hypertension): Hypertension is not a typical feature of TTP Fever, Hemolysis (microangiopathic* intravascular hemolysis) and Low platelet count (Thrombocytopenia) are part of the 'pentad' of TTP